Preoperative investigation to be done in down's syndrome posted for surgery
1. CT
2. MRI
3. X-ray of hand
4. Echo

Correct answer: 4. Echo

Explanation: Endocardial cushion defect is most commonly present in Down's syndrome patient.
Echo is done prior.